The law "Relative frequencies of each gene allele tends to remain constant from generation to generation", was given by:
1. Henry Sigerist
2. Hardy Weinberg
3. Doug Engelberg
4. Johanna Frank

Correct answer: 2. Hardy Weinberg

Explanation: Hardy-Weinberg's law It describes a theoretical situation in which a population is undergoing no evolutionary change It explains that if the evolutionary forces are absent, the population is large and its individuals have random mating Thus each parent produces equal number of gametes Such gametes combine at random and the gene frequency remains constant. Finally the genetic equilibrium of the genes is maintained and the variability present in the population is preserved.